Pergnancy as a result of contraceptive failure can be terminated as per which indication of the MTP act ?
1. To save life of mother
2. Social indication
3. Eugenic indication
4. None of the above

Correct answer: 2. Social indication

Explanation: Ans. is 'b' i.e., Social indication In practice, the following are the indications for termination under the MTP ActA. To save the life of the mother (Therapeutic or Medical termination)o The indications are limited and scarcely justifiable nowadays except in the following cases:i) Cardiac diseases (Grade III and IV) with history of decompensation in the previous pregnancy or in between the pregnancies.ii) Chronic glomerulonephritis.iii) Malignant hypertension.iv) Intractable hyperemesis gravidarum.v) Cervical or breast malignancy.vi) Diabetes mellitus with retinopathy.vii) Epilepsy or psychiatric illness with the advice of a psychiatrist. ?B. Social indicationsi) This is almost the sole indication and is covered under the provision "to prevent grave injury to the physical and mental health of the pregnant woman".ii) In about 80%, it is limited to parous women having unplanned pregnancy with low socioeconomic status.iii) Pregnancy caused by rape or unwanted pregnancy caused due to failure of any contraceptive device also falls in this category (20%).C. Eugenico This is done under the provision of "substantial risk of the child being bom with serious physical and mental abnormalities so as to be handicapped in life". The indication is rare.i) Structural (Anencephaly), chromosomal (Down's syndrome) or genetic (Hemophilia) abnormalities of the fetus.ii) When the fetus is likely to be deformed due to action of teratogenic drugs (warfarin) or radiation exposure (>10 rad) in early pregnancy.iii) Rubella, a viral infection affecting in the first trimester, is an indication for termination.